Cerebellar connection to other parts of the brain is projected through which cell
1. Golgi cells
2. Basket cells
3. Purkinje cells
4. Oligodendrocytes

Correct answer: 3. Purkinje cells

Explanation: Ans. (c) Purkinje cells(Ref: Ganong, 25th ed/p.249)Purkinje cells#Only output cell of cerebellum#Biggest neurons of CNS#Inhibitory - Use GABA as neurotransmitter